In the lactobacillus count test, which reading will be inferred as "Marked degree of caries activity"?
1. >100/mL
2. >1000/mL
3. >10,000/mL
4. None of the above

Correct answer: 3. >10,000/mL